Intravenous anaesthetic causing supression of steroid synthesis:
1. Etomidate
2. Thiopentone
3. Ketamine
4. Propofol

Correct answer: 1. Etomidate

Explanation: Ref: Ajar Yadav, Short Textbook of Pediatrics 1st edition. Miller Textbook of Anaesthesia. 6th edition.Explanation:EtomidateNot easily availableCVS- Cardiostable agentNo respiratory depressionSide EffectsEndocrine - Transiently inhibits the enzymes involved in cortisol & aldosterone synthesisLong term infusion leads to Adrenocortical supressionNausea & Vomiting - Incidence 40% (Highest among all intravenous anesthetics)Myoclonus (30 - 60%)Painful injectionThrombophlebitisVitamin C deficiencyUsesIV anesthetic of choice for Aneurysm surgery and patients with cardiac diseaseIt is rarely used these days.